Midostaurin is a new drug used for the treatment of:
1. CML
2. ALL
3. AML
4. CLL

Correct answer: 3. AML

Explanation: Midostaurin : Multitargeted protein kinase inhibitor indicated along with standard cytarabine and daunorubicin for adult with newly diagnosed Acute Myeloid Leukemia (AML) who are FLT3 mutation positive.